All of the following statements relating to lung carcinoma and occupation are true except -
1. Risk is increased
2. Takes long time to develop
3. It takes less time to develop as compared to general population
4. It takes more time to develop as compared to general population

Correct answer: 4. It takes more time to develop as compared to general population

Explanation: As there is increased exposure it takes less time to develop than general population to develop. Ref- Park's textbook of Preventive and Social Medicine 24th edition.